Treatment of myositis ossificans includes all except -
1. Splinting elbow
2. Gentle active movements
3. Indometacin
4. Vigorous passive massage

Correct answer: 4. Vigorous passive massage

Explanation: Myositis ossificans, Conservative treatment is the method in acute stages. * Immobilisation of the part by splints *Drugs-diphosphonate, calcitonin, NSAIDS *late stages- physiotherapy to regain movement *surgical excision REF:- Ebnezar- 3rd edn- pg no 41